True statement about plague is -
1. Vaccine is not used to control epidemic of pneumonic plague
2. Most important measure to control epidemic rodent control
3. Septicemic plague is highly infectious
4. Live attenuated vaccines are used

Correct answer: 1. Vaccine is not used to control epidemic of pneumonic plague

Explanation: - the most efficient method to prevent plaque is control of rat flea. -immunisation with plaque vaccine is a valuable preventive measure. The WHO recommends that under all circumstances, vaccination should be used only for the prevention not the control of human plaque. - killed plaque vaccine is used. Reference : Park's textbook of preventive and social medicine, 23rd edition pg no:296